The Periapical lesion that would most likely contain bacteria within the lesion is
1. Periapical abscess
2. Periapical cyst
3. Periapical granuloma
4. Condensing osteitis

Correct answer: 1. Periapical abscess